Eukaryotes are different in causing infection because:
1. Divide by binary fission
2. Highly structured cells with organized cell organelles
3. Don't have cell organelles
4. Evolutionally deficient

Correct answer: 2. Highly structured cells with organized cell organelles

Explanation: Eukaryotes are highly structured cells with organized cell organelles PROKARYOTES EUKARYOTES Nuclear membrane absent Nuclear membrane well defined Cytoplasmic structures absent e.g. Mitochondria, Lysosomes, Glolgi apparatus, and endoplasmic reticulum are absent. All these cell organelles are present In cell wall muramic acid & diaminopimelic acids (DAPA) present Both absent in cell wall No sterols in cell membrane Sterols present in cell membrane Eg- bacteria, blue- green algae Fungi, protozoa, slime moulds